The characteristic clinical manifestation of schizophrenia is:
1. Confusion
2. Anxiety
3. Auditory hallucinations
4. Visual hallucinations

Correct answer: 3. Auditory hallucinations

Explanation: Formal thought disorder, third person hallucinations and inappropriate emotions (inappropriate affect) are characteristic of schizophrenia. Hallucinations are common in schizophrenia. Auditory hallucinations by far are the most frequent. Visual hallucinations can be present in schizophrenia, however if visual hallucinations are prominent, an organic cause , should be suspected. Third person hallucinations (voices heard arguing, discussing the patient in third person) -Characteristic of schizophrenia The term confusion, refers to a disturbance of consciousness, which is a hallmark of delirium.